Bosentan is:
1. Endothelin  receptor blocker
2. ACEI
3. IIb/IIIa receptor blocker
4. None of the above

Correct answer: 1. Endothelin  receptor blocker

Explanation: FDA has approved the use of Bosentan for Raynaud’s phenomena